Following block dissection of the neck, a person is unable to move his head upward and to side ways. Which of the following nerve is injured
1. Vagus
2. Spinal accessory nerve
3. Glossopharyngeal nerve
4. Cranial part of accessory nerve

Correct answer: 2. Spinal accessory nerve

Explanation: The classic operation involves resection of the cervical lymphatics and lymph nodes and those structures closely associated: the internal jugular vein, the accessory nerve, the submandibular gland and the sternocleidomastoid muscle. These structures are all removed en blocand in continuity with the primary disease if possible. The main disability that follows the operation is weakness and drooping of the shoulder due to paralysis of the trapezius muscle as a consequence of excision of the accessory nerve Bailey & Love ,25th,733.